Enzymes which are responsible for the synthesis of extracellular glucans and fructans:
1. Glucosyltransferase, fructosyl transferase.
2. Glucosylconvertase, fructosyl
3. Convertase.
4. Both of the above.

Correct answer: 1. Glucosyltransferase, fructosyl transferase.